Patient with toothache & sinusitis. Which sinus is involved ?
1. Maxillary
2. Ethmoid
3. Frontal
4. Sphenoid

Correct answer: 1. Maxillary

Explanation: Ans. is 'a' i.e., Maxillary All sinus infections have some common symptoms, including thick, yellow green discharge and a stuffy nose. However, the location of pain can signal which sinus is affected :- Maxillary sinusitis is Pain is situated over upper jaw, and may referred to gums or teeth Tenderness over the prominence of cheek (on anterior wall of antrum) Frontal sinusitis Frontal headache over the affected sinus Headache has characteristic periodicity, i.e. office headache Tenderness on the floor of frontal sinus just above medial canthus Ethmoid sinusitis Pain is over the bridge of nose, medial & deep to the eye, i.e. pain is between two eyes Pain is aggravated by movements of eye ball Sphenoid sinusitis Transient headache located deep behind the eye, vertex and occiput